Endemic cretinism is seen when Iodine uptake is below which level of daily intake?
1. 5 micro gram/day
2. 20 micro gram/day
3. 50 micro gram/day
4. 75 micro gram/da

Correct answer: 2. 20 micro gram/day

Explanation: Endemic cretinism occurs in regions where goiter is widespread and severe and is associated with an iodine intake of less than 20 micrograms per day compared with normal daily intake of 80-150 micrograms per day. Goiter alone is seen at intake levels below 50 micrograms per day. Normal dietary iodine intake is 100-150 mcg/day. By WHO standards, a population is iodine deficient when its average UIE (urine iodine excretion) falls below 50 micrograms. WHO recommended intake of iodine is: Adults: 150 micrograms Pregnant and lactating women: 200 micrograms Infants: 50 micrograms Children (2-6 years): 90 micrograms Children (7-12 years): 120 micrograms